The plasma clearance value of glucose in a diabetes mellitus patient will be
1. Zero
2. Equal to that of inulin clearance
3. Greater than that of PAH clearance
4. Greater than zero

Correct answer: 4. Greater than zero

Explanation: Ans. (d) Greater than zero(Ref: Ganong, 25th ed/p.678)Diabetes mellitus is characterized by renal glycosuria. Glucose appears in urine. So, plasma clearance of glucose is greater than zero